All of the following are true about Darier's disease except:
1. Defect in calcium ATPase because of mutation in ATP2A2 gene
2. Corps ronds and corps grains are seen
3. Subepidermal blister
4. V-shaped nicking of nail is present

Correct answer: 3. Subepidermal blister

Explanation: Both Hailey Hailey disease and Darier's disease are characterized by suprabasal acantholysis / suprabasal blister.